All of the following are parts of ethmoid bone, except
1. Uncinate process
2. Inferior concha
3. Middle concha
4. Crista galli

Correct answer: 2. Inferior concha

Explanation: Parts of ethmoid bone: Cribriform plate Superior concha Middle concha Unicate process Vomer Crista Galli Anterior ethmoidal sinuses Orbital plate of ethmoidal labyrinth Perpendicular plate Middle ethmoidal sinus and bulla ethmoidal NOTES: Ethmoid is very light cuboidal bone situated in the anterior of base of cranial cavity between two orbits It forms: part of medial orbit walls, part of nasal septum,part of roof of orbit, lateral walls of the nasal cavity It comprises: cribriform plate, perpendicular plate, a pair of labyrinth Ref BDC volume3,sixth edition pg 45